DIC is commonly seen in-
1. M1 AML
2. M2 AML
3. M3 AML
4. M4 AML

Correct answer: 3. M3 AML

Explanation: Answer is C (M3-AML) DIC or DI VC may occur in any subgroup of AML but is especially common in Acute Promyelocytic Leukemia or M3- .4,VIL of FAB classification.